All of the following are mid line swellings in neck, except
1. Branchial cyst
2. Sublingual dermoid cyst
3. Throglossal cyst
4. Subhyoid bursitis

Correct answer: 1. Branchial cyst

Explanation: (A) Branchial cyst # DD of midline swellings of neck: Ludwigs angina; Enlarged submental lymph node; Sublingual dermoid cyst; Subhyoid bursitis; Thyroglossal cyst; Enlarged isthmus of thyroid gland; Pretracheal and prelaryngeal lymph nodes; Retrosternal goitre; Thymic swelling; Enlarged lymph nodes of lipoma in the suprasternal space of burns